A 4-year-old child presents to the emergency department with respiratory difficulty and noisy breathing. On examination, X-ray shows thumb sign. The most probable diagnosis is:
1. Recurrent papillomatosis
2. Croup
3. Epiglottitis
4. Tonsillitis

Correct answer: 3. Epiglottitis

Explanation: c. Epiglottitis(Ref: Ghai Pediatrics 8/e p 376, 398; Nelson's 20/e p 2032-2034)The given clinical picture along with the X-ray finding suggests a diagnosis of Acute Epiglottitis.